Bacterial extracellular polysaccharide production is
a) a property of only Streptococcus mutans
b) a prerequisite for cariogenicity
c) a factor mediating attachment of bacteria to teet
d) an essential component of dental plaque
e) characteristic of all streptococcus
1. a e is false b c d is true
2. a b c is false d e is true
3. b c d is false a e is true
4. c d e is false a b is true

Correct answer: 1. a e is false b c d is true